Where is the gene for folate carrier protein located on?
1. Chromosome 10
2. Chromosome 5
3. Chromosome 21
4. Chromosome 9

Correct answer: 3. Chromosome 21

Explanation: . Chromosome 21